All of the following may cause ST segment elevation on EKG, except :
1. Early repolarization variant.
2. Constrictive pericarditis.
3. Ventricular aneurysm.
4. Prizmetal angina.

Correct answer: 2. Constrictive pericarditis.

Explanation: Answer is B (Constrictive pericarditis) ST segment elevation is seen in acute pericarditis and not in constrictive pericarditis Causes of ST segment elevation Common causes Acute myocardial infarction Prinzemetal angina (Non infarction transmural ischaemia) Ventricular aneurysm (Post myocardial infarction) Acute pericarditis Normal variant ('early repolarization' pattern) L.V. hypertrophy/ left bundle branch block Rare causes Brugada syndrome Class I C antiarrhythmic drugs DC cardioversion Hyperkalemia Hypothermia (J wave / Osborn wave) Myocardial injury (Myocarditis Trauma, Tumor invasion) Brugada syndrome shows RBBB like pattern with ST elevation) in right precordial leads *